All are adulterants of heroin, except
1. Chalk powder
2. Quinine
3. Charcoal
4. Fructose

Correct answer: 3. Charcoal

Explanation: Adulterants of heroin are sucrose, dextrose, fructose, lactose, mannitol, starches, inositol, chalk powder, milk powder, talcum powder, flour, quinine, procaine, lidocaine, acetyl procaine, methaphyrilene and caffeine.